Which of the following is not true of Actinomycosis-
1. Demonstration of filaments
2. Caused by actinomyces israelii
3. Organism cannot be cultured
4. Sulphur granules in pus

Correct answer: 3. Organism cannot be cultured